Regarding appendicitis in pregnancy, false is:
1. MC cause of acute abdomen in first trimester
2. Pregnancy doesn't increase the risk
3. Conservative management by antibiotics should be tried
4. After rupture, fetal mortality is around 30-40%

Correct answer: 3. Conservative management by antibiotics should be tried

Explanation: APPENDICITIS IN PREGNANCY Appendicitis is the MC non obstetric surgical disease of the abdomen during pregnancy. Risk during pregnancy is the same as it is non-pregnant women of the same age. Perforation is more common in the 3rd trimester. Diagnosis may be difficult because symptoms of nausea, vomiting and anoxia, as well as elevated WBC count, are common during pregnancy. After rupture, fetal mortality is around 30-40% Diagnosis Ultrasound is helpful for establishing the diagnosis and location of the inflamed appendix. Treatment Early appendectomy is the appropriate therapy in suspected during all stages of pregnancy.